EEG with eyes closed, in normal alert adult predominantly shows
1. Alpha waves
2. Beta waves
3. Theta waves
4. Delta waves

Correct answer: 1. Alpha waves

Explanation: (A) Alpha waves # Alpha waves are neural oscillations in the frequency range of 7.5-12.5 Hz arising from synchronous and coherent (in phase or constructive) electrical activity of thalamic pacemaker cells in humans.> Alpha waves are one type of brain waves detected either by electro- encephalography (EEG) and predominantly originate from the occipital lobe during wakeful relaxation with closed eyes.